Peripheral aneurysm -
1. Popliteal artery
2. Femoral artery
3. Radial artery
4. Brachial artery

Correct answer: 1. Popliteal artery

Explanation: Ans. is 'a' i.e., Popliteal artery o Popliteal artery aneurysm accounts for 70% of all peripheral aneurysms; two-thirds are bilateral,o Almost all patients (97%) with popliteal artery aneurysms are male.o Open suigica! reconstruction with a saphenous vein bypass is the current gold standard for repair.